Fried egg colony is seen in culture of
1. Mycoplasma
2. Legionella
3. Trachoma
4. Haemophilus

Correct answer: 1. Mycoplasma

Explanation: Fried egg colonies are seen in culture of Mycoplasma. Mycoplasma- Culture media- PPLO Agar Colonies can examined by- Hand lens or Diene's staining